Which of the listed diseases is most strongly suggested by the above antibody studies? Anti-centromere High titer Anti-Scl-70 Not detected Anti-Pol-I Not detected Anti-RNP Not detected Anti-dsDNA Not detected
1. CREST
2. Diffuse scleroderma
3. Mixed connective tissue disease
4. Sjogren's syndrome

Correct answer: 1. CREST

Explanation: Anti-centromere antibodies are a marker for the CREST (calcinosis, Raynaud's phenomenon, esophageal dysfunction, sclerodactyly, and telangiectasia) variant of scleroderma. The markers for diffuse scleroderma, anti-Scl-70 and anti-Pol-I, are usually negative in CREST syndrome, as are most other autoantibodies. The marker for mixed connective tissue disease is anti-RNP. The markers for Sjogren's syndrome are anti-SSA, anti-SSB, and anti-RAP